Muscarinic cholinergic receptors are seen at allsites, except ?
1. Stomach
2. CNS
3. Neuromuscular junctio
4. Glands

Correct answer: 3. Neuromuscular junctio

Explanation: Ans. is 'c' i.e., Neuromuscular junction Cholinergic receptors There are two types of cholinergic receptors : Muscarinic - Found at - All postaganglionic parasympathetic sites, Few postaganglionic sympathetic sites (sweat gland & blood vessels), CNS. Nicotinic --4 Found at - Ganglia (both sympathetic and parasympathetic), Skeletal muscles, Adrenal medulla, CNS Muscarinic receptors Nicotinic receptors Type Organ Type Organ M1 Gastric gland NM Neuromuscualr junction M2 Heart (Skeletal muscle) M3 Smooth muscles, glands and endothelium NN Ganglia, adrenal medulla M4 CNS M5 CNS